Filler loading is found highest in:
1. Hybrid (small particles ) composite
2. Microfilled composite
3. Hybrid composite
4. Flowable composite

Correct answer: 1. Hybrid (small particles ) composite